A 50-year-old drug abuser presents with fever and weight loss. Exam shows hypertension, nodular skin rash, and peripheral neuropathy. ESR is 100 mm/L, and RBC casts are seen on urinalysis. The most likely condition is:
1. Reiter syndrome
2. Drug-induced lupus erythematosus
3. Polyarteritis nodosa
4. Behcet syndrome

Correct answer: 3. Polyarteritis nodosa

Explanation: The 50-year-old gentleman is a drug abuser and also has a multisystem disease, including systemic complaints, hypertension, skin lesions, neuropathy, and an abnormal urine sediment. This complex suggests a vasculitis, particularly polyarteritis nodosa. 20 to 30% of patients have hepatitis B antigenemia. The disease is a necrotizing vasculitis of small and medium muscular arteries. The pathology of the kidney includes an arteritis and, in some cases, a glomerulitis. Nodular skin lesions show vasculitis on biopsy.